Which of the following is NOT a premalignant condition?
1. FAP
2. PZ syndrome
3. Juvenile polyps
4. Familial juvenile polyposis

Correct answer: 3. Juvenile polyps

Explanation: In contrast to adenomatous polyps, hamartomatous polyps (juvenile polyps) usually are not premalignant. These lesions are the characteristic polyps of childhood but may occur at any age. Bleeding is a common symptom and intussusception and/or obstruction may occur. Because the gross appearance of these polyps is identical to adenomatous polyps, these lesions should also be treated by polypectomy. Ref: Bullard Dunn K.M., Rothenberger D.A. (2010). Chapter 29. Colon, Rectum, and Anus. In F.C. Brunicardi, D.K. Andersen, T.R. Billiar, D.L. Dunn, J.G. Hunter, J.B. Matthews, R.E. Pollock (Eds), Schwartz's Principles of Surgery, 9e.